Eugenol in a periodontal dressing could cause
1. allergic reaction
2. decreased resistance to heat
3. rapid bacterial growth
4. all of the above

Correct answer: 1. allergic reaction